Which s not seen in MEN I
1. Parathyroid adenoma
2. Pancreatic cancer
3. Prolactinoma
4. Medullary carcinoma thyroid

Correct answer: 4. Medullary carcinoma thyroid

Explanation: Ans. is 'd' i.e., Medullary Ca o MEN (Multiple endocrine neoplasia) or MEA (Multiple endocrine adenomatosis) syndrome are characterized by familial occurances of multiple endocrine neoplasms,o 3 types of MEN Syndrome are recognized.MEN I (or Wermer's Syndrome) consists of -o Pituitary adenoma (or hyperplasia)o Parathyroid adenoma (or hyperplasia)o Pancreatic islet cell hyperplasia, adenoma or carcinoma o Other less common manifestations:Foregut carcinoidsPheochromocytomaSubcutaneous or visceral lipomasMEN IIA (or Sipple Syndrome)o Medullary carcinoma of thyroid (MCT)o Pheochromocytomao Parathyroid adenoma (or hyperplasia)o Hirschsprung diseaseo Cutaneous lichen amyloidosisb) MEN1IBo Medullary carcinoma of thyroid (MCT)o Pheochromocytomao Marfanoid featureso Mucocutaneous and gastrointestinal neuromaso Thus this pt. is suffering from MEN IIA or II B syndrome (pituitary tumour in this pt. is still confusing the question, but still; answer is definitely MCT).